Plasmodium falciparum infection of man is characterized by -
1. The erythrocytes are increased in size
2. All stages of erythrocytic schizogony are-seen in peripheral blood
3. Multiple infection of erythrocytes are seen
4. Each erythrocytic cycle lasts 72 hours

Correct answer: 3. Multiple infection of erythrocytes are seen